What is the defect in Dubin Johnson syndrome
1. Mutation in ATP7B gene
2. Mutation in MRP - 2 gene
3. Mutation in UGT1A1 gene
4. Mutation in ATP7A gebe

Correct answer: 2. Mutation in MRP - 2 gene

Explanation: In Dubin Johnson syndrome these is impaired biliary excretion of bilirubin glucuronides due to mutation in canalicular multidrug Resistance Protein -2 (MRP- 2).